In Hemolytic anemias the urobilinogen level in the blood would
1. Increase
2. Be absent
3. Decrease
4. Mildly decrease

Correct answer: 1. Increase